Combination chemotherapy ( ABV )with daunorubicin , bleomycin , vincristine is used in
1. Kaposi sarcoma
2. Rhabdomyosarcoma
3. Wilms tumour
4. Seminoma

Correct answer: 1. Kaposi sarcoma

Explanation: It is used in Kaposi’s sarcoma. Intraleisional danorubicin and vinblastine, radiation treatment, placitaxel, interferon alpha are also used.